Dysphagia lusoria is best diagnosed by
1. Plain radiography
2. Fluoroscopy
3. CT Angiography
4. Ultrasound

Correct answer: 3. CT Angiography

Explanation: Ans. is'c'i.e., CT AngiographyRef: Human Malformations and Related Anomalies p. 130Dysphagia lusoria is an impairment of swallowing due to compression from an aberrant right subclavian artery (arteria lusoria)CT angiography and MRI thorax are the best diagnostic modalities that could identify the arteria lusoria.